True statements about Glucokinase is/are
1. Km value is higher than normal blood sugar
2. Not Found in liver
3. G-6P inhibit it
4. Has both glucose 6 phosphatase and kitase activity

Correct answer: 1. Km value is higher than normal blood sugar

Explanation: The Km value of glucokinase is higher than normal blood sugar level, km value of the glucokinase is 20 mmol/L. it acts only when blood glucose level is more than 100mg/dl, then glucose is taken up by liver cells for glycogen synthesis.Ref: DM Vasudevan, page no: 109